Ribose phosphate is a product in which of the following pathway:
1. Lactic acid cycle
2. Citric acid cycle
3. Pentose phosphate pathway
4. None of the above

Correct answer: 3. Pentose phosphate pathway

Explanation: The pentose phosphate pathway (hexose monophosphate shunt) is a more complex pathway than glycolysis. Three molecules of glucose 6-phosphate give rise to three molecules of CO2 and three 5-carbon sugars.. Ref: Harper 28th edition, chapter 21.